Hemiazygous vein crosses left to right at the level of
1. T8
2. T10
3. T12
4. T6

Correct answer: 1. T8

Explanation: Hemiazygos vein turns to the right at the level of T8 B D CHAURASIA'S HUMAN ANATOMY UPPER LIMB THORAX-VOLUME-1 SIXTH EDITION Page no-224